A 6 yr old child with Acute onset of fever of 104o fever developed febrile seizure was treated. To avoid recurrence of seizure attack what should be given ?
1. Paracetamol 400 mg and phenobarbitone
2. Oral diazepam 6 hourly
3. Paracetamol 400 mg 6 hourly
4. IV Diazepam infusion over 12 hourly

Correct answer: 2. Oral diazepam 6 hourly

Explanation: Oral clobazam (benzodiazepines) is an effective prophylaxis and is given during fever episodes for 3 days Ref Ghai pediatrics eighth edition pg no 557